Karyotype in Klinefelter’s syndrome is?
1. 45 XXX
2. 45XO
3. 46XXY
4. 47 XXY

Correct answer: 4. 47 XXY